Which is a degeneration disorder characterized by atrophic changes of the deeper structures (e.g. fat, muscle, cartilage 8 bone) involving one side of the face:
1. Scleroderma
2. Parry Romberg syndrome
3. Miescher's syndrome
4. Peutz-Jeghers syndrome

Correct answer: 2. Parry Romberg syndrome